All of the following statements about nateglinide are true except
1. Decreses post prandial hyperglycemia
2. Hypoglycemia is less common than with Sulfonylureas
3. It decreases insulin resistance
4. It acts by releasing insulin

Correct answer: 3. It decreases insulin resistance

Explanation: Sulfonylureas, nateglinide and repaglinide act by inhibiting ATP sensitive K channels and thus resulting in release of insulin Like insulin All of these drugs can cause hypoglycemia However nateglinide therapy produce fewer episodes of hypoglycemia as compared to other oral insulin secretagogue Nateglinide bad repaglinide are short acting and thus can reduce post prandial hyperglycemia